Amplifier host in Japanese Encephalitis is;
1. Man
2. Culex mosquito
3. Pig
4. Horse.

Correct answer: 3. Pig

Explanation: Japanese encephalitis: Option 1: Humans, cattle, buffaloes, and pigs are the vertebrate hosts. Option 2: Culex tritaeniorhynchus is a major vector but has predilection for cattle instead of humans or pigs. Since the cattle does not develop viremia, this does not contribute to the spread of the disease. The high cattle to pig ratio in India is a major factor which has been suggested to control infections in India. Natural infection occurs in Ardeid birds, such as herons and egrets, and the virus is transmitted from bird to bird by C. tritaeniorhynchus. Bird acts as a reservoir host. Option 3: Pigs are usually the amplifier host of Japanese encephalitis. Option 4:Horse is dead end host in Eastern equine encephalitis virus (EEEV).